A person with tuberculosis on domiciliary treatment is expected to do all, except ?
1. Dispose sputum safely
2. Use separate vessels
3. Collect drugs regularly
4. Report to PHC if new symptoms arise

Correct answer: 2. Use separate vessels

Explanation: Use of seperate vessels are not needed. Domiciliary treatment :self administration of (oral) drugs by patients themselves without recourse to hospitalisation. Reference:Park's textbook of preventive and social medicine,K.Park,21st edition,of no:119,172-75, park 23rd edition,page no:187.